Skin grafting is absolutely C/I in which skin infection?
1. Staphylococus
2. Pseudomonas
3. Streptococus
4. Proteus

Correct answer: 3. Streptococus

Explanation: Ans is 'c' i.e. Streptococcus "The skin graft generally survives when placed over the wounds containing less than 105 organisms per gram of tissue unless the organisms are streptococci, which can rapidly dissolve transplanted skin." - S. Das 3/e, p 142